A 20 year old man presented with hemorrhagic colitis. The stool sample grew Escherichia coli in pure culture. The following serotype of E. coli is likely to be the causative agent -
1. 0 157 : H7
2. 0 159 : H7
3. 0 107 : H7
4. 0 55

Correct answer: 1. 0 157 : H7

Explanation: Ans. is 'a' i.e., 0157 : 117